The average B .P. of a 1 year old child is ?
1. 120/80
2. 75/50
3. 95/50
4. 60/30

Correct answer: 3. 95/50

Explanation: Ans. is 'c' i.e., 95/50 Age Systolic BP Diastolic BP 1-3 months 75 + 5 50 +- 5 4-12 months 84 +- 5 65 +- 5 1-8 years 95 +- 5 65 +- 5 9-14 years 105 +- 5 65+-5